C-ANCA is positive in?
1. Wegner's granulomatosis (WG)
2. Takayasu arteritis (TA)
3. Polyarteritis nodosa (Classic PAN)
4. Giant cell arteritis (GCA)

Correct answer: 1. Wegner's granulomatosis (WG)

Explanation: Ans is 'a' i.e; Wegner's granulomatosis (WG) Antineutrophilic cytoplasmic antibody (ANCA)o ANCA are heterogenous group of autoantibodies directed against antigens which are found within the primary granules of neutrophil and in the lysosomes of monocytes and in EC's. The description of these autoantibodies is based on the immunofluorescence pattern of staining of ethanol fixed neutrophils.With immunofluorescence two principal patterns are recognized1) Cytoplasmic ANCA (c-ANCA)o It is targeted against proteinase-3. It is found in Wegner's granulomatosis.2) Perinuclar ANCA (p-ANCA)o It is targeted against myeloperoxidase. It is found in microscopic polyangitis, chrug-strauss syndrome, idiopathic crescentic glomerulonephritis, Good-pasture syndrome, and renal limited vasculitis